Growth hormone is not produced during:
1. Deep sleep
2. Hypoglycemia
3. Low free fatty acid content in the body
4. Paradoxical sleep

Correct answer: 4. Paradoxical sleep

Explanation: Growth hormone is not produced in: Hyperglycemia Increased free fatty acid content Cortisol REM sleep Obesity Stomatostatin Ref:Guyton and Hall textbook of medical physiology 12th edition,page number:556-558